Acute lead poisoning in children commonly presents with all of the following features except –
1. Encephalopathy
2. Cerebellar Ataxia
3. Status epilepticus
4. Peripheral neuropathy

Correct answer: 4. Peripheral neuropathy

Explanation: Acute lead poisoning

The most serious manifestation of lead poisoning in children is ACUTE ENCEPHALOPATHY. 

Encephalopathy includes -

Persistent vomiting                    
Ataxia  
Papilloedema       
Lethargy    
Seizures     
Impaired consciousness and coma   
Irritability                      

Peripheral Neuropathy which is common in adults is rarely seen in children except with those of sickle cell disease.